Sodium fluoride inhibits which enzyme in Glycolysis
1. Hexokinase
2. Pyruvate Kinase
3. Aconitase
4. Enolase

Correct answer: 4. Enolase

Explanation: Inhibitors
Enzyme Inhibited




Iodoacetate


Glyceraldehyde 3 phosphate dehydrogenase




Arsenate


1,3 BPG Kinase




Sodium fluoride


Enolase.